Thin filament consists of all except
1. Actin
2. Troponin
3. Myosin
4. Tropomyosin

Correct answer: 3. Myosin

Explanation: The thin filaments are made up of actin, tropomyosin, and troponin. Thick filaments are made up ofmyosin.(REF: GANONG'S REVIEW OF MEDICAL PHYSIOLOGY -23rd EDITION. Page No-95)